Electric pulp test:
1. Requires more current for anterior teeth
2. Requires more current for posterior teeth
3. Same response
4. Better in inflamed teeth

Correct answer: 2. Requires more current for posterior teeth